A 10 year old boy consumes stain remover. He presented with 'coffee-coloured' vomiting and restlessness. Most likely diagnosis:
1. Oxalic acid
2. Diluted HC1
3. Kerosene
4. Carbolic acid

Correct answer: 1. Oxalic acid

Explanation: Ans. A i.e. Oxalic acid The vomit in oxalic acid poisoning has a coffee ground appearance because the oxalic acid badly corrodes the stomach walls. There may be bloody vomiting for the same reason.